Hallmarks of the hemophilia is
1. Epistaxis
2. Hemarthrosis
3. Abdominal pain
4. Anaemia

Correct answer: 2. Hemarthrosis

Explanation: (Hemarthroses): Ref: 326-G, 1657-Nelson 17th (321-Ghai 7th)Hemophilia - X-1 inked recessive, The females carries the hemophilia trait but only male offspring suffers from the disease.Clinical features - Bleeding following tooth extraction, severe trauma or following surgery muscle hematoma, and bleeding in joints.* Prolonged bleeding following circumcision may be the first symptoms* Excessive bleeding episodes from umbilical cord may be the presenting features in newborns* As the child learns to walk, there are repeated episodes of hemarthrosis* Bleeding may occur in the any area of the body, the hallmark of hemophilia is the hemarthrosis. The earliest joint hemorrhages appears most commonly in the ankle, because of the lack of stability of this joint as the toddler assumed an upright posture (1657-Nelson 17th)